Muscle forming anterior and posterior faucial folds of tonsillar fossa, respectively
1. Levator veli palatine-tensor veli palatine
2. Palatoglossus-palatopharyngeus
3. Palatopharyngeus-salpingopharyngeus
4. Styloglossus-stylopharyngeus

Correct answer: 2. Palatoglossus-palatopharyngeus

Explanation: Palatoglossus-palatopharyngeus form the boundary of the tonsillar fossaReference: Chaurasia; 6th edition